Discrepancies in the occlusion of a denture can be clearly detected from:
1. Observation of the denture in the mouth
2. Masticatory efficiency
3. Clicking sounds at temporomandibular joint
4. Remounting procedures of the denture

Correct answer: 4. Remounting procedures of the denture

Explanation: Clinical Remounting: 

It consists of remounting the finished denture on an articulator by using new inter-occlusal records in the patient's mouth.
The purpose of clinical remounting is to accommodate the errors made during centric relation records.

Advantages: 

It reduces patient participation.
It permits the dentist to see better what he/she is doing.
It provides a stable base, eliminating resilient tissues.
Absence of saliva makes markings more accurate.